The fraction of inspired air in mouth-to-mouth respiration is:
1. 0.16
2. 0.19
3. 0.21
4. 0.26

Correct answer: 1. 0.16

Explanation: A i.e. 0.16Mouth - to mouth respiration provides 16% of 02.In mouth- to - mouth respiration the resuscitor takes a deep breath & exhales into the subject's mouth. It provides 16% (15.7%) of 02.(amount of 02 that is present in expired air)